Bradykinin causes all the following except
1. Smooth muscle contraction
2. Dilatation of blood vessels
3. Pain
4. Opsonisation

Correct answer: 4. Opsonisation